Promastigote form of Leishmania is found in which part of sandfly:
1. Lymph node
2. GIT
3. Spleen
4. Bone marrow

Correct answer: 2. GIT

Explanation: Ans. B: GIT